During fight with a neighbour, a man lost his vision of right eye permanently. Which of the following section deals with grievous hurt?
1. S.304, I.P.C.
2. S.307, I.P.C.
3. S.320, I.P.C.
4. S.322, I.P.C.

Correct answer: 3. S.320, I.P.C.

Explanation: S.320, I.P.C. deals with Grievous Injury. Grievous Injuries: Emasculation Permanent privation of sight of either eye Permanent privation of hearing of either ear Privation of any member or joint Destruction or permanent impairing of the power of any member or joint Permanent disfiguration of the head or face Fracture or dislocation of a bone or tooth Any hurt which endangers life, or which causes the victim to be in severe bodily pain, or unable to follow his ordinary pursuits for a period of twenty days. Ref: The Essentials of Forensic Medicine and Toxicology by Dr. K. S. Narayan Reddy, 27th edition, Page 256.